All of the following are indicators of Physical Quality of life index except
1. Infant mortality rate
2. Life expectancy at 1 year
3. Level of living
4. Literacy

Correct answer: 3. Level of living

Explanation: PQLI Consists of basic literacy rate, infant mortality, and life expectancy at age one, all equally weighted on a 0 to 100 scale. Level of living is a parallel term for standard of living, and is used in United Nations documents. Health is the most important component of it. Ref: Park's textbook of preventive and social medicine; 23rd edition; Pg no: 16